The progestin present in Sino-Implant II is
1. Etonogestrel
2. Levonorgestrel
3. Norethisterone
4. Desogestrel

Correct answer: 2. Levonorgestrel

Explanation: The Sino-Implant II is a less expensive two-rod levonorgestrel system manufactured in China and available in several countries. It is effective for 4 yearsReference: Novak's gynaecology; 14th edition; Chapter 10; Family planning